Fundal myomas commonly present as :
1. Inversion of uterus
2. Dysmenorrhoea
3. Urinary retention
4. Menorrhagia

Correct answer: 4. Menorrhagia

Explanation: Ans. is d i.e. Menorrhagia I know many of you might be thinking - Inversion of uterus is the correct option. It is correct that. Inversion of uterus occurs in a fundal submucous fibroid polyp when it is being extruded. But chronic inversion of the uterus as such is a rare entity. Most common symptom of fundal fibroid like other fibroids is menstrual irregularitymenorrhagia. The Bottom line is : Most common fibroid causing inversion of uterus is fundal submucous firboid.deg But most common symptom of fundal submucous fibroid is menorrhagia.deg